Which of the following inhaled occupational pollutant produces extensive nodular pulmonary fibrosis ?
1. Silica
2. Asbestos
3. Wood dust
4. Carbon

Correct answer: 1. Silica

Explanation: Ans. is 'a' i.e., Silica